Late complication of diphtheria:
1. Airway obstruction
2. Encephalitis
3. Pneumonia
4. Neuropathy

Correct answer: 4. Neuropathy

Explanation: Late Complications of diphtheria Cardiac Neurologic Myocarditis Congestive cardiac failure Arrhythmias Palatal paralysis - nasal quality in voice, difficulty in swallowing & risk of aspiration (2 weeks) Ocular palsy (3 weeks) Symmetric polyneuropathy (10 days- 3 months)